Absolute refractory period of heart is the gap of time in which
1. Heart is in diastole
2. Unresponsive to neural stimuli
3. No action potential from another paof heart will reexcite the heart muscle
4. None of the above

Correct answer: 3. No action potential from another paof heart will reexcite the heart muscle

Explanation: Absolute: Is the period of time during which a second action potential ABSOLUTELY cannot be initiated, no matter how large the applied stimulus is. Relative: Is the interval immediately following the Absolute Refractory Period during which initiation of a second action potential is INHIBITED, but not impossible. Ref: guyton and hall textbook of medical physiology 12 edition page number:174,175,176